In an old patient, the best indicator of probability of developing cardiovascular disease can be calculated by
1. LDL/HDLratio
2. Triglycerides
3. Total cholesterol
4. Serum LDL

Correct answer: 1. LDL/HDLratio

Explanation: Good cholesterol ratio vs. bad cholesterol ratio High-density lipoprotein, or HDL, is considered "good" cholesterol. It makes up 20-30 percent of a person's total cholesterol level. Low-density lipoprotein, or LDL, is considered "bad" cholesterol and makes up 60-70 percent of the total in the body. A high HDL cholesterol number lowers your risk for coronary heart disease. A high LDL cholesterol number raises your risk for coronary heart disease. By comparing your total cholesterol number with your HDL cholesterol number, your healthcare provider can get another number called your total-cholesterol-to-HDL ratio Ref Davidson 23rd edition pg 556